A 40 year old tobacco chewer was given a routine oral examination; on examination non-scrapable white patch was noticed in his left buccal mucosa.

Diagnosed disease
1. Normal variation of mouth
2. Developmental disorder
3. Premalignant Lesion
4. Premalignant condition

Correct answer: 3. Premalignant Lesion